25-di hydroxy cholecalciferol is converted to 1,25-dishy- drocholecalciferol in:
1. Skin
2. Kidney
3. Lung
4. Liver

Correct answer: 2. Kidney